In a alcoholic man, 'Blackouts' are seen in?
1. Alcohol abstinence
2. Hepatic encephalopathy
3. Alcohol intoxication
4. Alcohol withdrawal

Correct answer: 3. Alcohol intoxication

Explanation: Ans. C. Alcohol intoxication. (Ref: Kaplan & Sadock's Synopsis of Psychiatry, Xth/Ch.12.2, Page no, 397).In a alcoholic man, 'Blackouts' occur in Alcohol intoxication.Discussion:Alcohol intoxication# Behavioral changes, slowing of motor performance, and decrease in the ability to think clearly may appear with a blood alcohol level as low as 20 to 30 mg/dL.# Most people show significant impairment of motor and mental performance when their alcohol levels reach 100 mg/dL.# With blood alcohol concentration between 200 and 300 mg/dL, slurred speech is more intense and memory impairment, such as blackout and anterograde amnesia, becomes common.# In a nontolerant person, a blood alcohol level over 400 mg/dL can produce respiratory failure, coma, and death. Due to tolerance, chronic heavy drinkers can present with fewer symptoms, even with blood alcohol levels greater than 500 mg/dL.